All of the following features are seen in dengue hemorrhagic fever except:
1. Positive tourniquet test
2. Platelet counts less than 1 lac
3. Falling hematocrit value
4. Acute onset of high fever

Correct answer: 3. Falling hematocrit value

Explanation: Ans. C: Falling hematocrit value The diagnosis of dengue is usually made clinically. The classic picture is high fever with no localising source of infection, a rash with thrombocytopenia and relative leukopenia- low paltelet and WBC count. Dengue infection can affect many organs and thus may present unusually as liver dysfunction, renal impairment, meningoencephalitis or gastroenteritis. Fever, headaches, eye pain, severe dizziness and loss of appetite. Hemorrhagic tendency (positive tourniquet test, spontaneous bruising, bleeding from mucosa, gingiva, injection sites, etc.; vomiting blood, or bloody diarrhoea) Thrombocytopenia (3or estimated as less than 3 platelets per high power field) Evidence of plasma leakage (Hematocrit more than 20% higher than expected, or drop in hematocrit of 20% or more from baseline following IV fluid, pleural effusion, ascites, hypoproteinemia) Encephalitic occurrences